Podocytes are seen in?
1. Bowmans capsule
2. Proximal convoluted tubule
3. Distal convoluted tubule
4. Collecting tubule

Correct answer: 1. Bowmans capsule

Explanation: .Ans (a) Bowman's capsuleRef: Robbiris pathology 9th ed. /900-901* Podocytes (or visceral epithelial cells) are cells in the Bowmans capsule in the kidneys that wrap around the capillaries of the glomerulus.* The Bowmans capsule filters blood, holding back large molecules such as proteins, and passing through small molecules such as water, salts, and sugar, as the first step in forming urine.